The slender rhabditiform larvae of which of the following helminths move about in water and are ingested by species of cyclops?
1. D. Latum
2. D. Medinensis
3. W. Bancrofti
4. S. Mansoni

Correct answer: 2. D. Medinensis

Explanation: Ans. is 'b' i.e., D. Medinensis(Ref: Harrison, 19th/e, p. 1422-1423; Chatterjee, 12th/e, p. 204)* Larva of D. Medinensis is ingested by Cyclops in the water.